In atrial septal defect the aorta is -
1. Small
2. Normal
3. Enlarged
4. Aneurysmal

Correct answer: 1. Small

Explanation: Ans. is 'a' i.e., Small Chest x-ray in ASD o Mild to moderate cardiomegaly o Prominent pulmonary artery segement. o Right atrial and right ventricular enlargement. o Relatively small aortic shadow o Plethoric lung fields.